Major fibril protein in Primary Amyloidosis is ?
1. AL
2. AA
3. Transthyretin
4. Procalciton

Correct answer: 1. AL

Explanation: Ans. is 'a' i.e., AL